IUD, associatiate most commonly with explusion
1. Lippes loop
2. T Cu - 200
3. T Cu - 380
4. LNG-IUD

Correct answer: 1. Lippes loop

Explanation: Ans. is 'a' i.e., Lippes loop